All are seen in hypothyroidism except -
1. Weight gain
2. Cold intolerance
3. Diarrhoea
4. Menorrhagia

Correct answer: 3. Diarrhoea

Explanation: Diarrhea is a feature of hyperthyroidism.
Hypothyroidism

Iodine deficiency is the most common cause of hypothyroidism
In area of iodine sufficiency, autoimmune thyroiditis (Hashimoto's disease) is the most common cause.

Clinical features of hypothyroidism

Weight gain, poor appetite                     
Cold intolerance, cool peripheral extremities.
Bradycardia, ↑ Diastolic BP                 
increased cholesterol, phospholips, triglyceride → Arteriosclerosis.